Apple jelly nodule on diascopy, is a feature of:
1. Aspergillosis
2. Rhinoscleroma
3. Erysipelas
4. Lupus vulgaris

Correct answer: 4. Lupus vulgaris

Explanation: Ans. D: Lupus vulgaris Morphology of lupus vulgaris W all demarcated, annular or arcuate plaques which slowly extend centrifugally Periphery shows erythematous to brownish, deep seated nodules which on diascopy, may stand out as apple jelly nodules TB of skin: Lupus vulgaris: - Skin TB without underlying active focus - MC type of cutaneous TB Scrofuloderma: - Skin TB secondary to underlying structure (joint, lymph node) Tuberculosis verrucosa cutis: It is a post-primary TB with good resistance